A man working as a pest killer comes to OPD with pain abdomen, garlic odour in breath and transverse lines on nails. MOST likely the person is suffering from:
1. Arsenic poisoning
2. Lead poisoning
3. Mercury poisoning
4. Cadmium poisoning

Correct answer: 1. Arsenic poisoning

Explanation: Garlic odour and transverse lines on nails i.e. Mee's lines are features of chronic arsenic poisoning. Constitutional symptoms of chronic arsenic poisoning: Fatigue Weight loss Weakness Anemia Nonspecific gastrointestinal complaints Sensorimotor peripheral neuropathy, particularly featuring a stocking glove pattern of dysesthesia Skin changes--among the most characteristic effects--typically "raindrop" pattern of hyperpigmentation, and hyperkeratoses involving the hands and feet Transverse white striae (Aldrich-Mees lines) on nails.